The incision used in endomeatal approach to the ear is
1. Lempert I incision
2. Rosen's incision
3. Lempert II incision
4. Wilde's incision

Correct answer: 2. Rosen's incision

Explanation: The tympanomeatal flap is raised to expose the middle ear in endomeatal approach. Rosen's incision is used in the endomeatal approach for stapedectomy. It is also used for exploratory tympanotomy. It requires the meatus and canal to be wide enough to work. It consists of two parts: (i) a small vertical incision at 12 o'clock position near the annulus (ii) a curvilinear incision starting at 6 o'clock position to meet the first incision in the posterosuperior region of the canals, 5-7 mm away from the annulus Ref : Diseases of ENT by Dhingra 6th edition Pgno : 401